A 13 years old boys is often aggressive, arguing with parent and teachers. He has history of frequent lying and stealing money at home. He always runs away from class to play. The diagnosis is-
1. Conduct disorder
2. Oppositional defiant disorder
3. Autism
4. Pervasive developmental disorder

Correct answer: 1. Conduct disorder

Explanation: Ans: A. Conduct disorder(Ref: Kaplan & Saddock's th/e p. 1139).Conduct disorder is characterized by a persistent and significant pattern of conduct in which the basic rights of others are violated or rules of society are not followed.The onset occurs much before 18 years of age, usually even before puberty.The characteristic clinical features include: -Frequent lyingStealing or robberyPhysical violence like rape, fire setting, assault, use ofweapons, fighting and aggresiveness.Running away from home and school - Therefore, backward in studies.